Causative agent of acute rheumatic fever:
1. Group `A' b-hemolytic streptococcus
2. Group -B b-hemolytic streptococcus
3. Group -C b-hemolytic streptococcus
4. Group -D b-hemolytic streptococcus

Correct answer: 1. Group `A' b-hemolytic streptococcus

Explanation: Group `A' b-hemolytic streptococcus